During incision & drainage of ischiorectal abscess, which nerve is/are affected/injured:
1. Superior rectal nerve
2. Inferior rectal nerve
3. Superior gluteal nerve
4. Inferior gluteal nerve

Correct answer: 2. Inferior rectal nerve

Explanation: B i.e. Inferior rectal nerveThrough a posterior horse shoe shaped recess both ischiorectal fossae are connected behind the anal canal; so a unilateral abscess may become bilateral.During dissection of ischio rectal fossa, inferior rectal, pudendal, posterior scrotal or labial nerve & vessels along with perforating branches of S2-S3 and perineal branches of S4 nerve may get damaged.